Most common complication of vaginoplasty is
1. Vaginal bleeding
2. Re - stenosis
3. Dysmenorrhea
4. Ectopic pregnancy

Correct answer: 2. Re - stenosis

Explanation: Restenosis and dyspareunia are most common complication of vaginoplasty.